Excess of avidin causes deficiency of:
1. Folate
2. Choline
3. Vitamin B12
4. Biotin

Correct answer: 4. Biotin

Explanation: Excess consumption of raw eggs, which contains a protein 'avidin' - a biotin binding protein leads to biotin deficiency When cooked, avidin is partially denatured and its binding to biotin is reduced. So cooked egg whites are safe to consume.